A 28 year old female patient presents with patches of burns and swelling of arm. Histopathological findings reveal swelling of endopasmic reticulum, blebs from cell membrane, loss of microvilli, presence of myeloid bodies and no changes in nucleus. Which type of injury is seen in this patient?
1. Irreversible cell injury
2. Autolysis
3. Pyroptosis
4. Reversible cell injury

Correct answer: 4. Reversible cell injury

Explanation: Hypoxia is the most common cause of cell injury.
Oxygen is an important requirement of mitochondria, for the formation of ATP, therefore hypoxia will result in earliest involvement of mitochondria, resulting in decreased formation of ATP.
Important organelles affected are

Cell membranes (require ATP for functioning of Na+ - K+ pump)
Endoplasmic reticulum (require ATP for protein synthesis)
Nucleus.

Swelling of organelles like endoplasmic reticulum, results in decreased protein synthesis.
Bleb : results due to outpouching from the cell membrane to accommodate more water.
Loss of microvilli.
Formation of cellular organelle like endoplasmic reticulum. These are composed of phospholipids.
Myelin figures are intercellular whorls of laminated lipid material.
When these myelin figures are present in membrane-bound structure, containing lysosome enzymes, these are known as myeloid bodies.